Duhamel procedure is done for -
1. Hirschsprung's disease
2. HPSS
3. Meckels diverticulum
4. Volvulus

Correct answer: 1. Hirschsprung's disease

Explanation: Ans. is 'a' i.e., Hirschsprung's disease * Surgery in Hirschsprung's disease aims to remove the aganglionic segment and 'pull-through' ganglionic bowel to the anus (e.g. Swenson, Duhamel, Soave and transanal procedures) and can be done in a single stage or in several stages after first establishing a proximal stoma in normally innervated bowel.